Women with vitamin B12 deficiency presents with dysphagia and anemia. What is the syndrome mentioned in the presentation?
1. Plummer-Vinson syndrome
2. Eagle syndrome
3. Job's syndrome
4. Treacher Collin syndrome

Correct answer: 1. Plummer-Vinson syndrome

Explanation: (a) Plummer-Vinson syndrome(Ref. Sleisenger Gastrointestinal & Liver Disease, 8th ed.,; 851)Triad of postcricoid dysphagia, oesophageal webs, and iron deficiency anemia constitutes Plummer Vinson syndrome. Due to iron deficiency there occurs atrophy of the gastric mucosa leading to achlorhydria.Intrinsic factor (IF) is needed for the absorption of dietary cobalamin, i.e. vitamin B12 . This binding of IF with B12 prevents the proteolytic digestion of B12 . Intrinsic factor is secreted by the parietal cells of the cardiac and fundic mucosa of the stomach, which also secrete hydrochloric acid (HCl). The IF-cobalamin complex then reaches terminal ileum where cobalamin gets absorbed.In PV syndrome due to atrophy of gastric mucosa therefore there is no IF available leading to poor absorption of vitamin B12 .Eagle syndrome is pain in the tonsillar fossa area due to enlarged calcified styloid process.Job's syndrome is hyperimmunoglobulin E syndrome.Treacher Collin syndrome is 1st arch hypoplasia causing maxillo-mandibular hypoplasia.